Best level of anesthesia for LSCS:
1. T8
2. T10
3. T6
4. T4

Correct answer: 4. T4

Explanation: Ans. is d, i.e. T4Ref Dutta Obs. 7/e, p 519Spinal anesthesia:Spinal anesthesia is done by injection of local anesthetic agent into the subarachnoid space. It has less procedure time and high success rate. Spinal anesthesia can be employed to alleviate the pain of delivery and during the third stage of labor. For normal delivery or for outlet forceps with episiotomy, ventouse delivery, block should extend from T10 (umbilicus) to S1. For cesarean delivery, level of sensory block should be up to T4 dermatome. Hyperbaric bupivacaine (10-12 mg) or lignocaine (50-70 mg) is used.